The most potent stimulator of naive ? cells is:
1. ? cell
2. Mature dendritic cells
3. Epithelial cells
4. Macrophages

Correct answer: 2. Mature dendritic cells

Explanation: . Mature dendritic cells